Tizanidine produces its action acting on which of the following receptors?
1. Alpha adrenergic receptors
2. GABA A receptors
3. GABA B receptors
4. Beta adrenergic receptors

Correct answer: 1. Alpha adrenergic receptors

Explanation: Drugs ending with "nidine" are alpha 2 agonist. Clonidine and Tizanidine are alpha 2 agonist.